Hypoplastic defects in the enamel appears in radiographs as
1. Brown spots running horizontally
2. Radiotucent areas
3. Sclerotic areas over the surface of a tooth
4. Radio opaque areas

Correct answer: 2. Radiotucent areas